Alopecia aerata is -
1. Cicatricial scar
2. Non cicatricial scar
3. Fungal infection
4. None

Correct answer: 2. Non cicatricial scar

Explanation: Alopecia areata is a non scarring inflammatory condition characterized by patchy hair loss Ref Harrison20th edition pg 1208